All are true regarding properties of common disinfectants, EXCEPT:
1. Glutaraldehyde is sporicidal
2. Hypochlorites are viricidal
3. Alcohol is fungicidal, bactericidal not sporicidal
4. Phenol usually requires organic matter to act

Correct answer: 4. Phenol usually requires organic matter to act

Explanation: Phenol and its derivatives acts by denaturing proteins, especially in cell membrane. It is active aginst gram positive bacteria but its activity is reduced in presence of organic matter. Glteraldehyde is considered a chemical sterilant since it has a broad spectrum of activity inluding being sporicidal. It acts by alkylating microorganism proteins. Hypochlorites are bactericidal, myocabactericidal, fungicidal and virucidal. Alcohols are among the most widely used disinfectant and antiseptic. They are bactericidal and fungicidal not sporicidal. They are also effective against some lipid containing viruses.